Byssinosis is common in:
1. Weavers
2. Spinners
3. Growers
4. Dyers

Correct answer: 2. Spinners

Explanation: Ans. B i.e. Spinners